Which one of the following is not an intravesical chemotherapeutic agent
1. Mitomycin C
2. BCG
3. Epirubicin
4. Thiotepa

Correct answer: 2. BCG

Explanation: American urologists use BCG by a 2 : 1 margin compared with intravesical adjuvant or maintenance chemotherapy (e.g., doxorubicin hydrochloride , gemcitabine, thiotepa), whereas European urologists or chemotherapy. BCG is approved for this indication by the U.S. Food and Drug Administration (FDA) . Mechanism of action of BCG . Intravesical immunotherapy results in a massive local immune response characterized by induced expression of cytokines in the urine and bladder wall and by an influx of granulocytes and mononuclear and dendritic cells . The initial step appears to be direct binding to fibronectin within the bladder wall, subsequently leading to direct stimulation of cell-based immunologic response and an antiangiogenic state. ref : Campbell - Walsh urology 11th ed , chapter 93 , pg no 2212